Zn deficiency causes
1. Acrodermatits
2. Scaly dermatiis
3. Follicular keratosis
4. Skeletal fluorosis

Correct answer: 1. Acrodermatits

Explanation: (A) (Acrodermatitis) (420- Satyanaroyan 4th)Acrodermatitis enteropathica - is a rareInherited metabolic disease of zinc deficiency caused by a defect in the absorption ofZn from the intestineZINC -- Prostate gland is very rich in Zn- Zn is mainly an intracellular element- Regarded as an Antioxidant- Gusten - a zinc containing protein of the saliva - is important for Taste sensation- Zn absorption appears to be dependent on a transport protein- Metallothionein- Zn deficiency is associated with- growth retardation, poor wound healing, anemia, loss of appetite , loss of taste sensation impaired spermatogenesis, Depression, dementia and other psychiatric disoders.Zinc containing enzymes* Superoxide dismutase (it is CU-Zn protein complex)* Carbonic anhydrase* Leucine amino peptidase* Carboxy peptide A'* Alcohol dehydrogenase *** Retinine reductase* Alkaline phosphatase* Glutamate dehydrogenase* Lactate dehydrogenase* DNA and RNA polymerase* d-ALA dehydratase